Eth-A gene mutation can lead to cross resistance of Ethionamide with:
1. PAS
2. Isoniazid
3. Ethambutol
4. Thioacetazone

Correct answer: 4. Thioacetazone

Explanation: Eth-A gene encodes Monoxygenase enzyme that activates both Ethionamide and Thioacetazone. Therefore mutation of Eth-A gene is responsible for resistance in both Ethionamide and Thioacetazone.